Stress ulcers is caused by all of the following except?
1. Bums
2. Cortisol therapy
3. Penicillin therapy
4. Pulmonary insufficiency

Correct answer: 3. Penicillin therapy